NOT a feature of Holt Oram Syndrome is
1. Absent Radius
2. Atrial septal defect
3. Thrombocytopenia
4. Autosomal dominant inheritance

Correct answer: 3. Thrombocytopenia

Explanation: Holt Oram Syndrome Patient have normal blood picture.